Which of the following muscles produce intorsion of eye ball-?
1. Superior rectus and superior oblique
2. Inferior rectus and inferior oblique
3. Inferior rectus and superior oblique
4. Superior rectus and inferior oblique

Correct answer: 1. Superior rectus and superior oblique

Explanation: Ans. A. Superior rectus and superior obliqueMusclePrimarySecondaryTertiaryMedial rectusAdduction--Lateral rectusAbduction--Inferior rectusDepressionExtorsionAdductionSuperior rectusElevationIntorsionAdductionInferior obliqueExtorsionElevationAbductionSuperior obliqueIntorsionDepressionAbduction